True about formalin
1. Used as preservative in alcohol poisoning
2. Never used as preservative for chemical analysis
3. Used as preservative only in digitalis poisoning
4. Used as preservative for any plant poisoning

Correct answer: 2. Never used as preservative for chemical analysis

Explanation: Formalin is not used as preservative for chemical analysis because extraction of poison becomes difficult. PRESERVATIVES : 1. Saturated solution of NaCl - commonly used 2. Rectified spirit (95% alcohol )- Best preservative 3. 10% Formalin - for histopathological examination 4. 50% Glycerol - for virology 5. NaF - For Co, Cyanide, Alcohol poisoning. Avoid salts in Avoid Rectified Spirit in 1. Corrosive except phenol 2. Aconite 1. Alcohol 2. Formalin 3. Phenol